Loud S1 in mitral stenosis is seen in
1. Prolonged flow through mitral valve
2. 1st degree heart block
3. Calcification of the valve
4. Immobilization of the valve

Correct answer: 1. Prolonged flow through mitral valve